STEPS is done for:
1. Surveillance of risk factors of non-communicable disease
2. Surveillance of incidence of non-communicable disease
3. Surveillance of evaluation of treatment of non-communicable disease
4. Surveillance of mortality from non-communicable disease

Correct answer: 1. Surveillance of risk factors of non-communicable disease

Explanation: STEPS is stepwise approach for 1. Chronic Disease Risk factor surveillance 2. Stroke Surveillance Core Expanded STEP 1 Tobacco, Alcohol, Diet , Physical activity H/O | BP , H/O DM STEP 2 Height , wt. , waist , BP Hip circumference HR STEP 3 Blood glucose , Blood lipids TG HDL